Circadian rhythms are maintained by
1. Suprachiasmatic nuclei
2. Supra optic nuclei
3. Posterolateral nucleus
4. Ventrolateral nucleus

Correct answer: 1. Suprachiasmatic nuclei

Explanation: Hypothalamic control of circadian rhythm: A large number of physiologic rhythms ( body temperature, sleep-wakefulness, cortisol secretion among a host of others ) in the body run to a cyclic pattern that is approximately 25 hours long. These rhythms are entrained to 24 hours due to environmental signals such as light and darkness. These signals are called zeitgebers. The suprachiasmatic nucleus of the hypothalamus is believed to be responsible for the rhythmicity of these circadian cyclesRef: Guyton & Hall Textbook of medical physiology- a south Indian edition 2014 pg no: 812